Oedema aquosum occurs in :
1. Wet drowning
2. Dry drowning
3. Secondary drowning
4. Immersion syndrome

Correct answer: 1. Wet drowning

Explanation: A i.e. Wet drowning